Low birth weight baby is the one whose birth weight is?
1. Less than 1800 g
2. Less than 2000 g
3. Less than 2500 g
4. Less than 3000 g

Correct answer: 3. Less than 2500 g

Explanation: ANSWER: (C) Less than 2500 gREF: Nelson essentials of pediatrics, 17th editionLow birth weight (LBW) infants, defined as infants having birth weights of less than 2500 gt represent a disproportionately large component of the neonatal and infant mortality rates. Although births of LBW infants make up only about 6% to 7% of all births, they account for greater than 70% of neonatal deaths. IUGR is the most common cause of LBW in developing countries, whereas most LBW in infants in developed countries is secondary to prematurity.Very low birth weight (VLBW) infants, weighing less than 1500 g at birth, represent about 1% of all births, but account for 50% of neonatal deaths. Compared with infants weighing 2500 g or more, LBW infants are 40 times more likely to die in the neonatal period; VLBW infants have a 200-fold higher risk of neonatal death.Extremely low birth weight, weighing less than 1000 g at birth.